First line of drug for angle closure glaucoma is
1. Acetazolamide
2. Physostigmine
3. Brimonidine
4. Atropine

Correct answer: 1. Acetazolamide

Explanation: Ref: HL Sharma 3rd ed pg no:140 For acute angle-closure glaucoma, the best option is acetazolamide oral or IV for chronic glaucoma, DOC is phf2 alpha analogs like latanoprost